In varicella infection which is not true-
1. Scabs are highly infective
2. Caused by herpes virus
3. Transmitted by oro-pharyngeal secretions
4. Vesicles are centripetal in distribution

Correct answer: 1. Scabs are highly infective